In a cusp–embrasure relationship, the maxillary first premolar is most likely to articulate with which of the following mandibular teeth?
1. First premolar only.
2. First molar only.
3. Canine and first premolar.
4. First and second premolars.

Correct answer: 4. First and second premolars.

Explanation: In the cusp–embrasure occlusal relationship, the maxillary first premolar is most likely to articulate with the first and second premolars.